Which of the following statements about stavudine is accurate ?
1. Bone marrow suppression is dose limiting
2. It causes marked neurotoxicity
3. It inhibits HIV protease
4. It is a non–nucleoside reverse transcriptase inhibitor

Correct answer: 2. It causes marked neurotoxicity